An adolescent male presents with Hypokalemia, Metabolic Alkalosis, Hypercalciuria and Nephrocalcinosis. His Blood Pressure is normal. The likely diagnosis is:
1. Bartter Syndrome
2. Gitelman's Syndrome
3. Liddle's Syndrome
4. Renal Tubular Acidosis

Correct answer: 1. Bartter Syndrome

Explanation: Answer is A (Bartter Syndrome): Hypokalemic Metabolic Alkalosis with Hypercalciuria in a patient with normal blood pressure suggests a diagnosis of Bartter Syndrome. Hypokalemic metabolic alkalosis with normal blood pressure may be seen in both Banter Syndrome and Gitelman's Syndrome. Presence of Nephrocalcinosis from Increased Urinary excretion of Calcium is typically seen in Bartter's Syndrome and distinguishes Bartter's Syndrome from Gitelman's Syndrome (Decreased Urinary Calcium Excretion). Liddle's Syndrome also causes Hypokalemic metabolic alkalosis but this disorder is typically associated with Hypertension (Blood Pressure is elevated) Presentation Diagnosis Hypokalemic Metabolic alkalosis with Hypertension Liddle's Syndrome Hypokalemic Metabolic Alkalosis without Hypertension Banner Syndrome (Increased Urinary Ca Excretion) Gitelman Is Syndrome (Decreased Urinary Ca Excretion) Important Mfferences Between Bartter Syndrome and Gitelman's Syndrome Feature Bartter Syndrome Gitelman Syndrome Location of kidney defect Ascending loop of Henle (Mimics effects of loop diuretics) Distal tubule (Mimics effects of thiazides) Urinary Calcium excretion Normal or increased, commonly with nephrocalcinosis Decreased Serum Mg level Normal Magnesium levels (May be decreased) Decreased, sometimes greatly Renal prostaglandin E2 production Increased Normal Usual age at presentation Before birth to early childhood, often with intellectual disability and growth disturbance Late childhood to adulthood Neuromuscular symptoms (e.g., muscle spasms, weakness) Uncommon or mild Common